Left Umbilical vein becomes:
1. Ligamentum teres
2. Ligamentum venosum
3. Medial umbilical ligament
4. Ligamentum arteriosum

Correct answer: 1. Ligamentum teres

Explanation: Ligamentum teres